Maximum ESR is seen in :
1. CHF
2. Polycythemia vera
3. Multiple myeloma
4. Sickle cell anemia

Correct answer: 3. Multiple myeloma

Explanation: Answer is C (Multiple myeloma) ESR is elevated in multiple mivloma -- Conditions with decreased ESR that need to be remembered 1. PolycythemiaQ 3. Sickle cell anemia 2. CHFdeg 4. Alihrinogenimea Conditions with increased ESR that need to be remembered : 1. Pregnancy 5. LeucocytosisQ 2. Menstruation Q 6. New born Q 3. Multiple myeloma 7. DLEQ 4. Anemia other than sickle cell Q